Gas gangrene is caused by:
1. Clostridium welchii
2. Clostridium tetani
3. Clostridium botulinum
4. Clostridium difficile

Correct answer: 1. Clostridium welchii

Explanation: Ans: A i.e. Clostridium welchii Conditions and pathogens Established pathogens (clostridium) for gas gangrene (group) includes Cl. Perfringens/ welchii, Cl. septicum & Cl. Novyi Established pathogen (clostridium) for tetnaus include Cl. Tetani Established pathogens (clostridium) for food poisoning (group) includes Cl. Perfringens type A (gastroenteritis), Cl. Perfringens type C (necrotising enteritis) and Cl. Botulinum (botulism) Established pathogens (clostridium) for acute colitis include Cl. difficile